Which forceps is used in after-coming head in breech delivery?
1. Piper forceps
2. Kielland's forceps
3. Wrigley's forceps
4. Kocher's forceps

Correct answer: 1. Piper forceps

Explanation: Pipers forceps are without a pelvic curve and only the cephalic curve. These are used for the management of the delivery of 'After coming head' in breech vaginal delivery.